Representation of pitch and loudness, a profile of the fundamental frequency, measured in decibels is referred to as:
1. Phonogram
2. Phonetogram
3. Phoneme
4. None of the above

Correct answer: 2. Phonetogram

Explanation: To make a more orderly representation of pitch and loudness, a profile of the fundamental frequency, measured in decibels and referred to as a phonetogram, has been developed. The phonetogram, which is a voice range profile, represents the minimums and the maximums of vocal loudness at selected levels of fundamental frequency within the total frequency range of a speaker.